Biological value is used for assessment of -
1. Fat quality
2. Protein quality
3. Carbohydrate quality
4. None

Correct answer: 2. Protein quality

Explanation: -the net protein utilisation is considered of more practical value for evaluation of protein because it is the product of biological value and digestibility coefficient divided by 100. Reference : Park's textbook of preventive and social medicine, 23rd edition, pg no:610